The range of light which causes maximum skin damage is-
1. 360-400 nm
2. 290-360 nm
3. 240-290 nm
4. 760-800 nm

Correct answer: 2. 290-360 nm

Explanation: B i.e. 290-360 nm